All are features of haemophilic knee joint, EXCEPT:
1. Juxta articular osteosclerosis
2. Sub chondral cyst formation
3. Widening of intercondylar notch
4. Squaring of patella

Correct answer: 1. Juxta articular osteosclerosis

Explanation: Ans. is 'a' ie juxta articular osteosclerosis Hemophilic arthropathy : is common in both A & B types of hemophilia. It is not common in other inherited disorder of coagulation, such as von Willebrand ds. or factor V deficiencyRadiographs of joints reflect the stage of diseaseIn early stages these is only capsule distention,Laterjuxtaarticular osteopenia*,marginal erosions*subchondral cysts*.joint space is narrowed* andthere is bone overgrowth.The changes are similar to those observed in osteoarthritis.Unique feature of hemophilic arthropathy arewidening of the femoral intercondylar notch*enlargement of proximal radius, andsquaring of the distal end of the painMC joint involved in hemophilic arthropathy - Knee*